Ponsetti technique failure in children should be managed with -
1. Posteromedial soft tissue release
2. Anterolateral soft tissue release
3. Triple arthrodesis
4. Lateral closing wedge osteotomy of calcaneum

Correct answer: 1. Posteromedial soft tissue release

Explanation: Ans. is 'a' i.e., Posteromedial soft tissue release * If treatment by manipulation and retention fails, operation should usually be undertaken before 9 months of age, mostly at 4-6 months. The idea behind early operation is to set the tarsal bones in normal relationship to one another and to remove deforming forces, thus allowing the bones to develop in their normal shape from an early age. The procedure used is soft tissue release, i.e. postero-medial release (PMR). The taut structures on the postero-medial side are released.